Facial Hemiatrophy is seen in
1. Parry Romberg syndrome
2. Peutz Jeghers syndrome
3. Both
4. None

Correct answer: 1. Parry Romberg syndrome